Iliofemoral ligament arise from
1. Ischial tuberosity
2. Anterior superior iliac spine
3. Iliopubic rami
4. Anterior inferior iliac spine

Correct answer: 4. Anterior inferior iliac spine

Explanation: ILIOFEMORAL LIGAMENT:- Inverted Y shaped ligament of Bigelow.Lies anteriorly One of the strongest ligament.Triangular in shape. Attachments:-Apex: lower half of anterior inferior iliac spine. Base: intertrochanteric line. Action: prevent trunk from falling backwards in standing posture. Fibres:-Upper oblique and Lower vertical fibres form thick and strong bands.Middle fibres: thin and weak. {Reference: BDC 6E pg no.137}